Fatty liver is due to accumulation of ?
1. Triglycerides
2. Lipoprotiens
3. LDL
4. VLDL

Correct answer: 1. Triglycerides

Explanation: ANSWER: (A) TriglyceridesREF: Robbin's 7th ed p.907Fatty liver, also known as fatty liver disease (FLD), is a reversible condition where large vacuoles of triglyceride fat accumulate in liver cells via the process of steatosis (i.e. abnormal retention of lipids within a cell). Despite having multiple causes, fatty liver can be considered a single disease that occurs worldwide in those with excessive alcohol intake and those wTho are obese (with or without effects of insulin resistance). The condition is also associated with other diseases that influence fat metabolism. Morphologically it is difficult to distinguish alcoholic FLD from non alcoholic FLD and both showr micro-vesicular and macrovesicular fatty changes at different stages.